Integrins are associated with all of the following except:
1. Adhesion
2. Arrest
3. Rolling
4. Transmigration of cells

Correct answer: 3. Rolling

Explanation: Ans. C: Rolling The integrins are a superfamily of cell adhesion receptors that bind to extracellular matrix ligands, cell-surface ligands, and soluble ligands. Immunologically important integrin ligands are the intercellular adhesion molecules (ICAMs), immunoglobulin superfamily members present on inflamed endothelium and antigen-presenting cells. On ligand binding, integrins transduce signals into the cell interior; they can also receive intracellular signals that regulate their ligand-binding affinity